The portal vein is related to all, except -
1. Pancreas
2. Gall bladder
3. Inferior vena cava
4. CBD

Correct answer: 2. Gall bladder

Explanation: Important relations about portal vein

Infraduodenal part

i) Anterior:- Neck of the pancreas
ii)Posterior:- IVC

Retroduodenal part

i) Anterior:- 1st part of the duodenum, bile duct, gastroduodenal artery
ii)Posterior:- IVC

Supraduodenal part

i) Anterior:- Hepatic artery, bile duct
ii)Posterior:- IVC, separated by epiploic formal